On USG finding of cystic hygroma in fetus is suggestive of :
1. Down's syndrome
2. Marfan's syndrome
3. Turner's syndrome
4. Klinfelter's syndrome

Correct answer: 3. Turner's syndrome

Explanation: Turner's syndrome (XO) may have - Cystic hygroma, Widely spaced nipples, Webbed neck, Infertility, Normal I.Q.